Monday fever is associated with
1. Bagassosis
2. Silicosis
3. Asbestosis
4. Byssinosis

Correct answer: 4. Byssinosis